Thalassemia gives protection against:
1. Filaria
2. Kala-azar
3. Malaria
4. Leptospirosis

Correct answer: 3. Malaria

Explanation: c. Malaria(Ref: Nelson's 20/e p 2349', Ghai 8/e p 341)Thalassemia gives a reduced parasite invasion/growth and an increased susceptibility to phagocytosis of the infected RBC as a malaria-protective effect.